Approximate time, at the end of which the quantity, of ATP within ischemic cardiac myocytes is reduced to 10% of original is -
1. <2 minutes
2. 10 minutes
3. 20 minutes
4. 40 minutes

Correct answer: 4. 40 minutes

Explanation: Ans. is 'd' i.e., 40 minutes